Sodium channels are maximum in which part of neuron -
1. Soma
2. Axon hillock
3. Dendrites
4. Axon

Correct answer: 2. Axon hillock

Explanation: Ans. is 'b'i.e., Axon hillocko In a motor neuron, the axon hillock and the initial segment of axon have the lowest threshold for excitation. This is because they have a much higher density of voltage gated sodium channels.